Mould therapy is used in the treatment of:
1. Pelvic cancer
2. Lung cancer
3. Prostate cancer
4. Skin cancer

Correct answer: 4. Skin cancer

Explanation: Ans: d (Skin cancer)Mould therapy is actually used in the treatment of penile carcinomas. But in the choices there was no penile cancer.As penile carcinoma can be considered as penile skin cancer and is squamous cell carcinoma, it better to go for the option skin cancer